True about a child with post streptococcal glomerulonephritis is
1. Microscopic haematuria decreases within 4 weeks
2. Serum triglyceride levels increases
3. Severe renal dysfunction is an indication for biopsy
4. Serum C3 levels are normal

Correct answer: 3. Severe renal dysfunction is an indication for biopsy

Explanation: . Severe renal dysfunction is an indication for biopsy